Dose-response curve in Hormesis ?
1. Straight line
2. Sigmoid
3. Inverted U or J shaped
4. Hyperbola

Correct answer: 3. Inverted U or J shaped

Explanation: Ans. is 'c' i.e., Inverted U or J shaped Hormesis is a dose response phenomenon in which low doses have stimulatory effect while high doses have inhibitory effect. The dose response curve may be J-shaped or inverted U shapted, the latter being observed, for example, with the effect of chemotactic peptides on neutrophil adhesion.